Winging of scapula is seen in paralysis of which muscle?
1. Serratus anterior
2. Supraspinatus
3. Pectoralis major
4. Infraspinatus

Correct answer: 1. Serratus anterior

Explanation: Ans. is 'a' i.e., Serratus anterior